Squamous cell carcinoma spreads commonly ?
1. Implantation
2. Hematogenous spread
3. Lymphatic spread
4. Trancoelomic spread

Correct answer: 3. Lymphatic spread

Explanation: Ans. is 'c' i.e., Lymphatic spread Spread of carcinoma Commonly by lymphatics o Spread of sarcoma --> Commonly hematogenous